Antibiotics are indicated in which type of psoriasis?
1. Guttate
2. Pustular
3. Chronic plaque psoriasis
4. Erythrodermic psoriasis.

Correct answer: 1. Guttate

Explanation: Ref: Rook's Textbook of DermatologyExplanation:Guttate psoriasis (Eruptive psoriasis)Presents as shower of small psoriatic lesions, appearing more or less generally over the body, particularly in children and young adults, after acute streptococcal infections.Guttate psoriasis is classically triggered by a bacterial infection, usually an upper respiratory tract infection.Guttate psoriasis will most resolve, but may turn chronic remitting and relapsing psoriasis vulgaris.Because of a streptococcal etiology, antibiotic therapy is warranted.